First symptom invulval cancer is-
1. Pain
2. Pruritis
3. Ulcer
4. Blood discharge

Correct answer: 2. Pruritis

Explanation: Ans. B.PruritisWomen with WN and yulvar cancer commonly present with pruritus and a visible lesion.However, pain, bleeding, and ulceration may also be initial complaints'